Causes of Type 2 renal tubular acidosis are all except:
1. Cystinosis
2. Lowe syndrome
3. Essential fructosuria
4. Gaiatosemia

Correct answer: 3. Essential fructosuria

Explanation: Ref: Nelson's Textbook of Pediatrics 18th edition: page no.2197Explanation:Renal tubular acidosis (RTA)It is a disease state characterized by a normal anion gap metabolic acidosis resulting from either impaired bicarbonate reabsorption or impaired urinary acid (hydrogen ion) excretion.There are 3 main forms of RTA:Proximal (type II) RTADistal (type I) RTA. andHyperkalemic (type IV) RTA.Mixed lesions (those with elements of type I and II RTA), which occur primarily in patients with inherited carbonic anhydrase deficiency, are designated as type III RTA by some authors. Causes of HvponatremiaHYPOVOLEMICHYPONATREMIAEUVOLEMC HYPONATREMIAHYPERVOLEMICHYPONATREMIAExtrarenal losses* Gastrointestinal (emesis, darrhea)* Skin (sweating or bums)* Third space losses* SIADH* Glucocorticoid deficiency* Hypothyroidism* Water intoxication* CHF* Orthosis* Nephrotic syndrome* Renal failure* Capillary leak due to sepsis* Hypoaibuminemia due to gastrointestinal disease (protein-losing enteropathy)Renal losses* Thiazide or loop diuretics* Juvenile nepbronophthisis* Tubulointerstitial nephritis* Obstructive uropathy* Cerebral salt wasting* Proximal (type II) renal tubular acidosis* Lack of aldosterone effect (high serum potassium)Proximal RTA usually occurs as a component of global proximal tubular dysfunction or Fanconi syndrome, which is characterized by low molecular weight proteinuria, glycosuria, phosphaturia, aminoaciduria, and proximal RTA (See the following table)